Which of the following non ionizing radiations used in thermography?
1. Visible light
2. Microwaves
3. Infrared
4. Radio waves

Correct answer: 3. Infrared

Explanation: Infrared thermography is the process of using a thermal imager to detect infrared radiation (heat) that is emitted by an object. Thermography detects the radiant heat of the body by using infrared rays. Breast cancers have higher blood flow to the mitotically active tumor cells and hence will have a difference in temperature than surrounding normal breast which can be detected using thermography.